Kartar singh committee recommendations are related to:
1. No private practice
2. Measures to improve effectiveness of National Malaria Eradication programme
3. Framework of health services at peripheral level
4. Concept of primary health care

Correct answer: 3. Framework of health services at peripheral level

Explanation: Ans. C: Framework of health services at peripheral level